Most important criteria while using irrigating solution is
1. Volume of irrigant
2. Thickness of syringe used
3. Concentration of irrigant
4. None

Correct answer: 1. Volume of irrigant